Selective media for Pseudomonas -
1. EMJH medium
2. PALCAM agar
3. PLET medium
4. Cetrimide agar

Correct answer: 4. Cetrimide agar

Explanation: Ans. is 'd' i.e., Cetrimide agar OrganismSelective/Enrichment mediaPseudomonasCetrimide Agar OrganismSelective/Enrichment mediaPlating media for V choleraeTCBS (Thiosulfate Citrate Bile Salt sucrose), BSA (alkaline bile salt agar), GTTA (Gelatin Taurocholate Tellurite Agar)Enrichment media for V choleraeAlkaline peptone water, Monsur's taurocholate peptone waterLegionellaBCYL (Buffered Charcol Yeat Extract)BordetellaRegan Low medium, Bordet-Gengou medium, Lacey's DFP mediumM. TuberculosisLJ medium, Middle brook's medium, Dorset egg mediumS. aureusMannitol salt agar, Milk salt agar, Ludlanvs mediumNeisseria (gonococcus/meningococus)Thayer Martin medium, chocolate agarCorynebacterium DiphthertaeLoeffer's serum slope, Potassium tellurite agarBacillus CereusMYPA (Mannitol egg Yolk Phenol red polymixin agar)Bacillus AnthracisPLET (Polymyxin Lithium EDTAthallous acetate)LeptospiraEMJH medium. Fletcher medium. Korthof medium, Stuart's mediumCampylobacterSkirrow's medium. Campy BAP medium, Butzlers mediumReiter's TreponemaSmith Noguchi mediumSalmonellaTetrathionate broth. Selenite F. brothPseudomonasCetrimide AgarAnaerobesRobertson cooked meat broth, Thioglycollate, Smith-NogucbiLactose fermenting Enteric pathogens (E. colt & others)MacConkey agar, Eosine-methylene blue (EMB), Deoxvcholate agarHemophilusBlood agar with staph streak, Levin dial's medium. Fildes agar, chocolate agarListeriaPALCAM agarBurkholderiaAshdown's mediumSalmonella, ShigellaDeoxyeholate medium, Hektoen enteric agar (Salmonella-Shigella agar)Streptococcus agalactiaeTodd Hewitt broth with antibioticsMycoplasma pneumoniaePPLG mediumFor culturing urine sampleCLED (Cysteine Lactose Electrolyte Deficient) mediumClostridium difficileCCFA (Cefoxitin Cycloserine Fructose Agar).CCEY (Cefoxitin Cycloserine Egg-Yolk agar)YersiniaCIN (Cefsulodin-lrgasan-Novobiocin) mediumEnterococcusBile esculin agarActinomycesThioglycoliate medium. Brain heart infusion agar